Specific immunological unresponsiveness is called tolerance. Which one of the following statements best describes immunological tolerance?
1. Immunologic maturity of the host does not play a major role
2. It occurs only with polysaccharide antigens
3. It is related to the concentration of antibody
4. It is prolonged by administration of immunosuppressive drugs

Correct answer: 4. It is prolonged by administration of immunosuppressive drugs

Explanation: Ans. is `d' i.e., It is prolonged by administration of immunosuppressive drugs Immunological tolerance Immunological tolerance is the condition, in which contact with an antigen specifically abolishes the capacity to mount an immune response against that particular antigen when it is administered subsequently. The induction, degree and duration of tolerance depend on the immunocompetence of the host. The higher the degree of immunocompetence of the host the more difficult it is to induce tolerance. It is for this reason that embryos and newborns are particularly susceptible to induction of tolerance. Tolerance can be induced in adult in whom immunocompetence is temporarily interrupted by immunosuppressive therapy. Tolerance is dependent on the dose of antigen (not antibody concentration). Tolerance can occur with any antigen (not only with polysaccharide).